Depression of the fragments for the comminuted fracture seen in
1. Fissured fracture
2. Depressed comminuted fracture
3. Ring fracture
4. Pond fracture

Correct answer: 2. Depressed comminuted fracture

Explanation: Depressed comminuted fracture In this type of fracture, there will be depression of the fragments of the comminuted fracture. It is usually caused by striking with an object having a small striking surface. It can also be caused by impact from a relatively large projecting object as in traffic accidents. Ref: FORENSIC MEDICINE AND TOXICOLOGY Dr PC IGNATIUS THIRD EDITION PAGE 163